Ingestion of which of the following drug during pregnancy increase the risk of vaginal adenocarcinoma in a female offspring?
1. Chlorpropamide
2. Progesterone
3. Diethyl stilbestrol
4. Chloramphenacol

Correct answer: 3. Diethyl stilbestrol

Explanation: Ingestion of diethylstibestrol during pregnancy increase the risk of vaginal adenocarcinoma in female offspring after maturity. It is also associated with an increase in functional abnormalities of the reproductive tracts in both male and female offsprings.